Golden hour is
1. Within first half hour after trauma
2. Within one hour after trauma
3. Within one and half hours after trauma
4. Within two hours after trauma

Correct answer: 2. Within one hour after trauma

Explanation: The concept of the ‘golden hour’ describes the urgent need for treatment of trauma victims within the first hour after injury.